Which of the following is not a feature of congenital lobar emphysema is:
1. Left upper lobe involvement is most commonly involved
2. Severe respiratory distress in childhood itself
3. Childhood shift
4. Macleod's syndrome is synonymous with it

Correct answer: 4. Macleod's syndrome is synonymous with it

Explanation: Ans. D. Macleod's syndrome is synonymous with itCongenital lobar emphysemaa. Progressive over inflation of one or multiple lobes, usually of the upper lobes or right middle lobe.b. Left upper lobe is most commonly affected (43%).c. The word emphysema is misnomer as me-e is no alveolar wall destructiond. The etiology is unknown in many cases but is related to obstruction of the bronchus by a ball valve mechanisme. Present with respiratory distress (90%) with progressive cyanosis within 6 months of life.f. Associated congenital anomalies (cardiovascular) are seen in 50% casesg. Treatment is by lung resection